Which stage of LGV infection is associated with bubos?
1. First stage
2. Second stage
3. Third stage
4. Throughout all stages

Correct answer: 2. Second stage

Explanation: LGV infection:Primary stage:Small, painless, papulovesicular (Ext.genitalia)Usually unnoticedI/P: 3 days to 5 weeksSecondary stage:About 2 weeks later- lymphatic spread to draining lymph nodesMen -Inguinal L.N women -Intrapelvic & Para rectal nodesBubo(enlarge, suppurate, adherent to the skin)- break down- sinuses -discharging pusHemorrhagic proctitis with Regional L.NThird stage:Chronic (several years)Scarring & lymphatic blockageRectal strictures & elephantiasis of vulva (ESTHIOMENE)(Ref: Ananthanarayan 9th edition, p420-421)